Hyoid fracture is common in:
1. Hanging
2. Strangulation
3. Throttling
4. Choking

Correct answer: 3. Throttling

Explanation: C i.e. Throttling Throttling (manual strangulation)Q (maximum) > strangulation > HangingQ - Fracture of hyoid (in the region of greater cornuae)Q & superior horn of thyroid cartilage (more common) and bruising (haemorrhage) at base of tongueQ with finger marks (bruises) and finger nail marks (cresentic abrasions) are characteristic findings of Homicidal throttling (manual strangulation) - Hyoid fracture may be absent due to elasticity. In such cases bruising (haemorrhage) at base of tongue may be only evidence of throttling.